Antigen absent in Bombay blood group-a)  Hb)  Ac)  Bd)  D
1. abc
2. bc
3. acd
4. bcd

Correct answer: 1. abc

Explanation: " Bhende et al (1952) from Bombay reported the very rare instatnce in which A and B antigens as well as the H antigens are absent from red cells. This is known as Bombay or OH blood"